"Ropy discharge" from the eye is seen in -
1. Phylectenular conjunctivitis
2. Swimming pool conjunctvitis
3. Spring catarrh
4. Epidemic keratoconjunctivitis

Correct answer: 3. Spring catarrh

Explanation: Ropy (Stringy) discharge is seen in vernal keratoconjunctivitis. Ref: Parson's 22nd/e p.180-181 & 21st/e p.178; Khurana 7th/e p.81 & 4th/e p.74